Which of the following results, if ZOE and Ca(OH)2 liners are used together?
1. No reparative dentin formation
2. Exothermic heat released after the reaction will damage the pulp
3. High solubility of combination
4. All of the above

Correct answer: 2. Exothermic heat released after the reaction will damage the pulp

Explanation: Eugenol and calcium hydroxide cannot be incorporated into the same formulation, because eugenol rapidly chelates calcium ions in a strongly exothermic reaction.
Therefore, the choice of a eugenol-based versus calcium hydroxide-based liner is based on the relative depth of the tooth preparation.